End product of prgesterone metabolism found in urine :
1. Pregnenolone
2. 17-OH Pregnenolone
3. Pregnanediol
4. Pregnanetriol

Correct answer: 3. Pregnanediol

Explanation: Fate of progesterone : Within a few minutes after secretion almost all the progesterone is degraded to other steroids that have no progesteronic effect The major end product of progesterone degradation is pregnanediol. Approximately 10% is excreted in urine in this form. Ref: TEXTBOOK OF MEDICAL PHYSIOLOGY,GUYTON,Pg no:905,12th edition